Holstein lewis sign is related which nerve?
1. Median
2. Axillary
3. Ulnar
4. Radial

Correct answer: 4. Radial

Explanation: A Holstein–Lewis fracture is a fracture of the distal third of the humerus resulting in entrapment of the radial nerve.